TRUE about folic acid and vitamin B, is all, except -
1. Both are required for DNA synthesis
2. Recommended daily allowances for Folic acid is 1000 micro grams
3. Vegetarians have vitamin B12 deficit
4. Deficiency of both causes megaloblastic anaemia

Correct answer: 2. Recommended daily allowances for Folic acid is 1000 micro grams

Explanation: The Daily allowance is different. For healthy adults-200mcg.Pregnancy-500mcg.Lactation-300mcg.REF. PARK'S TEXTBOOK OF PREVENTIVE AND SOCIAL MEDICAL 21ST EDITION. PAGE NO - 620